Cardiomyopathy is due to deficiency of:
1. Selenium
2. Phosphorus
3. Boron
4. Zinc

Correct answer: 1. Selenium

Explanation: Ans. A. SeleniumNutritional Causes of Cardiomyopathy are:Deficiency of thiamine, selenium, calcium and magnesium.Excess of iron (Hemochromatosis)